Which of the following is not the muscles of superfical anterior compartment of forearm -
1. FDS
2. ERL
3. FCR
4. Palmaris longus

Correct answer: 2. ERL

Explanation: ANTERIOR COMPARTMENT OF FOREARM:- Superficial muscles on front of forearm:-1. Pronator teres.2. Flexor carpi radialis.3. Palmaris longus.4. FDS5. Flexor carpi ulnaris. Deep muscles on front of forearm:-1. Flexor pollicis longus.2. FDP3. pronator quadratus. Arteries:- ulnar & radial. Nerves:-median, ulnar& radial.{Reference: vishram singh, chapter 9}
Mnemonic Superficial group " pretti found Pamela for fight" Pronator teres flexor carpi radial Palmaris longus flexor carpi ulnaris flexor digitorum superficialis